During pregnancy there is an increased respiratory sensitivity to Carbon dioxide due to higher circulating levels of :
1. Progesterone
2. Estrogen
3. Estriol
4. Prolactin

Correct answer: 1. Progesterone

Explanation: Progesterone